Most common cancer in male breast is
1. Lobular carcinoma in situ
2. Ductal carcinoma in situ
3. Infiltrating ductal Ca
4. None

Correct answer: 3. Infiltrating ductal Ca

Explanation: Ans. (c) Infiltrating ductal Ca(Ref. Sabiston 20th edition page 861)* MC type of Breast cancer in Males - Ductal cancer* The cancer which never happens in males - Lobular cancer